Osteosclerotic metastasis is common in cancer of:
1. Prostate
2. Lungs
3. Malignant melanoma
4. Renal cell carcinoma

Correct answer: 1. Prostate

Explanation: Ans. A. Prostate cancerProstate cancer leads to osteosclerotic metastasis because of release of PTH like proteinsa. Prostate carcinoma cells secrete factors that directly and indirectly alter the osteoblastic function and express factors critical for normal bone development and remodeling, including bone morphogenetic proteins (BMPs), TGF-b, platelet- derived growth factor, adrenomedullin, insulin-like growth factor (IGF-1), fibroblast growth factor and vascular endothelial growth factor (VEGF).b. The osteolytic factor, PTHrP, is also abundantly expressed in Prostate carcinoma metastases, despite the fact that these lesions are primarily blastic. It has been demonstrated that PTHrP increases osteoblastic progenitor cell proliferation and induces early Osteoblastic differentiation.c. Another study says that Wants (a large family of proteins that promote bone growth) contribute to prostate cancer- mediated osteoblastic activity. Prostate cancer bone metastases have both an osteolytic and osteoblastic component, there is a shift in the balance from osteolytic to osteoblastic activity as prostate cancer progresses, which results in osteosclerotic (Osteoblastic) metastasis.